The validity of an indicator means -
1. It should actually measure what it is supposed to measure
2. The answer should be same if measured by different persons in similar circumstances
3. Indicators should reflect changes in the situation concerned
4. Indicators should have ability to obtain data needed

Correct answer: 1. It should actually measure what it is supposed to measure

Explanation: Validity: Refers to what extent the test measures which it purports to measure (adequacy of measurement)
Validity has 2 components :


Sensitivity
Specificity